A 25 years old female was diagnosed to have choriocarcinoma, management is :
1. Chemotherapy
2. Radiotherapy
3. Hysterectomy
4. Hysterectomy and then radiotherapy

Correct answer: 1. Chemotherapy

Explanation: Ans. is a i.e. Chemotherapy